In organophosphorus compound poisoning, atropine can reverse all the following signs except -
1. Lacrimation
2. Diaphoresis
3. Diarrhea
4. Muscle weakness

Correct answer: 4. Muscle weakness

Explanation: Atropine given in organophosphorus poisoning has effects on muscarinic manifestations; it has no effect on nicotinic manifestations like muscle weakness, fasciculations, cramps, and areflexia.